The gold standard for diagnosis of gastroesophageal reflux disease (GERD) is
1. Endoscopy
2. Barium swallow
3. Esophageal manometry
4. 24-hours pH monitoring

Correct answer: 4. 24-hours pH monitoring